Masseter is supplied by nerve
1. Mandibular
2. Facial
3. Glossopharyngeal
4. Hypoglossal

Correct answer: 1. Mandibular

Explanation: The mandibular nerve The mandibular nerve leaves the inferior margin of the trigeminal ganglion & leaves the skull through the foramen ovale. The motor root of the trigeminal nerve also passes through the foramen ovale & unites with the sensory component of the mandibular nerve (V3) outside the skull. Thus, the V3 is the only division of the trigeminal nerve that contains a motor component. Outside the Skull- The motor fiber innervates the four muscles of mastication. | Temporalis, masseter, medial pterygoids, lateral pterygoids As well as - Tensor tympani muscle, tensor veli palatini muscle, the anterior belly of digastric & the mylohyoid muscle. Sensory part of V3:- receives sensory fibers from. -The skin of lower face, cheek, lower lip, anterior part of external ear, part of external acoustic meatus & temporal region etc.